Which of the following is used in prophylaxis of Meningococcus?
1. Rifampicin
2. Erythromycin
3. Penicillin
4. Tetracycline

Correct answer: 1. Rifampicin

Explanation: Rifampicine is used in chemoprophylaxis but penicillin may be used to treat cases. Rifampicin is the prophylactic antibiotic of choice for contacts of patients with meningococcal disease. Ceftriaxone should only be used in specific situations where rifampicin is considered unsuitable, such as in pregnancy. Rifampicin, ciprofloxacin, ceftriaxone and penicillin are effective agents for eradicating carriage of N. meningitidis.